In achalasia cardia, true is:
1. Pressure at distal end increased with no peristalsis
2. Low pressure at LES with no peristalsis
3. Pressure > 50 mmHg with peristalsis
4. Pressure at the distal end increased with normal relaxation

Correct answer: 1. Pressure at distal end increased with no peristalsis

Explanation: Answer is A (Pressure at distal end increased with no peristalsis): Achalasia is characterized by an increased pressure of LES and absence of esophageal peristalsis. Physiological /Manometric features of Achalasia Elevated Resting pressure of LES (>45 mmHg)Q Incomplete LES relaxation (in response to swallowing)Q Absence of distal esophageal peristalsis